Nasopharynx consists of all except:
1. Pyriform recess
2. Pharyngeal recess
3. Pharyngeal tonsil
4. Salpingopharyngeal fold

Correct answer: 1. Pyriform recess